The sodium content of ReSoMal (rehydration solution for malnourished children) is –
1. 90 mmol/L
2. 60 mmol/L
3. 45 mmol/L
4. 30 mmol/L

Correct answer: 3. 45 mmol/L

Explanation: sodium content of ReSoMal is 45mmol/l